23 year old Female presents with 42 days of amenorrhea and vaginal spotting. Which of the following is the most useful diagnostic test?
1. Transvaginal USG
2. Urine pregnancy test
3. Beta HCG
4. Serum Progesterone

Correct answer: 1. Transvaginal USG

Explanation: In this case, firstly we will do TVS to look for G-sac and cardiac activity to rule in or rule out Pregnancy. A TVS would also confirm viability, since the patient has presented with bleeding pv which could be a sign of an abortion. Method Gestational Sac Cardiac activity TVS 4+ weeks 5+ weeks TAS 5+ weeks 6+weeks